Botulinum toxin produces skeletal muscle paralysis by
1. Enhancing release of norepine phrine
2. Inhibiting release of acetylcholine
3. Direct damage to nerve endings
4. Producing hemolysis

Correct answer: 2. Inhibiting release of acetylcholine

Explanation: Botulinum toxin B acts by cleaving synaptobrevin, inhibiting release of acetylcholine at the neuromuscular junction